Optimum unit of preventive, curative and promotive health care is
1. Appropriateness
2. Availability
3. Adequacy
4. Comprehensiveness

Correct answer: 4. Comprehensiveness

Explanation: Health care characteristics include 1) Appropriateness - relevance 2) Comprehensiveness - optimum mix of preventive, curative and promotional services. 3) adequacy 4) availability 5) accessibility 6) affordability 7) feasibility Ref: Park's Textbook of Preventive and Social Medicine,24th edition, Page no. 33